In which of the following condition is KF ring observed?
1. Wilson's disease
2. Cataract
3. Glaucoma
4. Hemochromatosis

Correct answer: 1. Wilson's disease

Explanation: Kayser Fleischer is frequently seen in patients with Wilson's disease. KF rings occur due to excess deposition of copper sulfur complexes in the Descemet's membrane of cornea. It is of gold, brown or green in colour. Ring formation is first evident on the superior aspect of the cornea then in the inferior aspect, followed by medial and lateral aspects. KF rings can disappear with therapy. Copper deposition can occur in the lens in Wilson's disease. They assume a sunburst or sunflower appearence (sunflower cataract) with a central disc and radiating petal like spokes. Ref: Uncommon Causes of Movement Disorders by Nestor, Page 51